Which of the following is X linked disease?
1. Thalassemia
2. Galactosemia
3. Color blindness
4. Sickle cell disease

Correct answer: 3. Color blindness

Explanation: Autosomal recessive conditions System Disorder Metabolic Cystic fibrosis Galactosemia Homocystinuria a1 antitrypsin deficiency Wilson disease Hemochromatosis Glycogen storage disease Lysosomal storage disease Hematopoietic Thalassemias Sickle cell anemia Endocrine CAH(congenital adrenal hyperplasia) Skeletal Ehlers danlo's (some variants) Alkaptonuria Nervous Friedreich ataxia Spinal muscular atrophy Neurogenic muscular atrophies X linked recessive disorders System Disease Musculoskeletal Duchenne muscular dystrophy Blood Hemophilia A&B, G6PD deficiency, Chr. granulomatous disease Immune Agammaglobulinemia, Wiskott Aldrich syndrome Metabolic Lesch nyhan syndrome, Diabetes insipidus Nervous Fragile X syndrome